True about Naber’s probe except
1. Used for Furcation area
2. Horizontal direction of probing
3. Has marking 3,6,9,12
4. Can be used in anterior teeth also

Correct answer: 4. Can be used in anterior teeth also